Abnormal thought possession is found in
1. Organic brain syndrome
2. Hysteria
3. Obsessive compulsive disorder
4. Neuroasthenia

Correct answer: 3. Obsessive compulsive disorder

Explanation: Normally one experience's one's thinking as being one's own, although this sense of personal possession is never in the foreground of one's consciousness. One also has the feeling that one is in control of one's thinking. This loss of control is seen in obsessions. Ref- Fish psychopathology, 3e, pg 36.